Immunoglobulin crossing placenta is
1. IgM
2. IgA
3. IgG
4. IgD

Correct answer: 3. IgG